The Lab investigation of patient shows ↓T3, ↓T4,& ↓TSH. It can not be -
1. Primary hypothyrodism
2. Pan - hypopitutarism
3. Liver disease
4. None of the above

Correct answer: 1. Primary hypothyrodism